Hypertension, proteinuria, and pitting edema are noted in the second month of the first pregnancy in a 25-year-old woman. The pathogenesis of her presenting complains is most closely associated with:-
1. A benign tumor of the chorionic villi
2. Gestational diabetes mellitus
3. Primary endometrial cancer
4. A malignant trophoblastic tumor

Correct answer: 1. A benign tumor of the chorionic villi

Explanation: Features of pre-eclampsia (hypertension, proteinuria, pitting edema) in the first trimester is most often secondary to a hydatidiform mole, which is a benign neoplasm of the chorionic villi. The uterus is frequently larger than the gestational age, Fetal Parts are not felt. Choricarcinomas are malignant trophoblastic tumors that most commonly develop from a preexisting complete mole,in 50% of cases although they can also be seen following a Normal pregnancy and abortion in 25% cases each